Radioactive element not used now-a-days in medical practice:
1. Radium 226
2. Co60
3. Cs 137
4. Iridium 192

Correct answer: 1. Radium 226

Explanation: Ans. Radium 226